What is used to aid identification of areas of dysplasia in colposcopy?
1. 3 -5% acetic acid
2. Acetocarmine red
3. 1 % formic acid
4. 1 % alcohol

Correct answer: 1. 3 -5% acetic acid

Explanation: Ans. is 'a' i.e., 3 - 5% acetic acid o Colposcopy is the mainstay in the diagnosis of cervical dysplasia and precancerous lesions.o Acetic acid and lugols iodine are used to aid in identifying areas of dysplasia.